Site of RBC formation in 20-year-old healthy male is
1. Flat bones
2. Long bones
3. Liver
4. Yolk sac

Correct answer: 1. Flat bones

Explanation: RBC formation in 20-year-old healthy adult takes place in flat bones. It also occurs in end of long bones.RBC formation during mesoblastic stage (3rd week to 3rd month) of intrauterine life takes place in yolk sac.RBC formation during hepatic stage (after 3 months) of intrauterine life takes place in liver.Ref: Medical physiology for UG students, Indu Khurana, pg 104